Most common site of metastasis in cholangiocarcinoma
1. Liver
2. Bones
3. Lung
4. Pancreas

Correct answer: 1. Liver

Explanation: Distant metastasis occurs in one third of patients Most common site is liver, lung or mediastinum, peritoneum Ref: Sabiston 20th edition Pgno :1514-1518